The amino acid residue having an imino side chain is
1. Lysine
2. Histidine
3. Tyrosine
4. Proline

Correct answer: 4. Proline

Explanation: Proline has pyrrolidine group in which imino group is there.Ref: DM Vasudevan - Textbook of Biochemistry, 7th edition, page no: 26